Duration Of 2nd heart sound is
1. 0.15sec
2. 0.12 sec
3. 0.08 sec
4. 0.1 sec

Correct answer: 2. 0.12 sec

Explanation: The second sound lasts about 0.12 s, with a frequency of 50 Hz. It is loud and sharp when the diastolic pressure in the aorta or pulmonary artery is elevated, causing the respective valves to shut briskly at the end of systole Second heart sound is due to sudden closure of semilunar valves at the end of systole. Ref: Ganong's Review of medical physiology 25th edition. Page: 542